Cis atracurium is prefferd over atracurium due to advantage of -
1. Rapid onset
2. Short duration of action
3. No histamine release
4. All

Correct answer: 3. No histamine release

Explanation: C i.e. No histamine release